A patient died due to jaundice. What will be the colour of corpse after embalming?
1. Grey
2. Green
3. Yellow
4. Brown

Correct answer: 2. Green

Explanation: In jaundice embalming, the use of formaldehyde as the primary preservative initiates a chain of events that causes the unwanted yellow-green color reaction to occur in most cases. In embalming of jaundice cases, the formaldehyde based solutions convers the bilirubin in the body into biliverdin and the colour changes into green. EMBALMING: THANATOPRAXIA * It is the treatment of the dead body with antiseptics and preservatives to stop putrefaction and preserve the body. * Embalming a body within 6 hoursQ - satisfactory result. * It produces a chemical stiffeningQ similar to rigor mortis. * Embalming rigidity is permanent and Normal rigor does not occurQ. Constituents of a typical embalming fluid * Preservative - Commonly a mixture of formaldehyde, glu!taraldehyde. Methanol is used to hold the formaldehyde in solution. * Germicide - Phenol * Humectant (to preserve the moisture) - Glycerine * Buffer (to maintain the pH) - Sodium borate/sodium bicar!bonate. * Anticoagulants-Sodium citrate/sodium oxalate * Dyes (to restore the body's natural colouration) - eosin * + Perfume - wintergreen * Vehicle - water upto 10 L Note: Ethanol is not a constituent of embalming fluid. Injection types: * Arterial injection is preferred* It is forcing of fluid in an artery to reach the tissues through the arterioles and capillaries. * Diffusion occurs into the cells and ti sues for preservation at the capillary level.* For overcoming the clots & better perfusion in arterial injection, High pressure with low flow is preffered. Methods of Injection * Continuous injection & drainage * Continuous injection and disrupted drainage * Alternate injection and drainage * Discontinuous injection and drainage - Best method of injection